Following trauma, which hormone is not released
1. Thyroxine
2. Glucagon
3. ADH
4. GH

Correct answer: 1. Thyroxine

Explanation: Ans. is 'a' i.e., Thyroxine